A farmer visiting an orchard gets unconscious, excessive salivation, constricted pupils and fasciculation of muscles. Treatment is started with:
1. Atropine
2. Neostigmine
3. Physostigmine
4. Adrenaline

Correct answer: 1. Atropine

Explanation: Ans. Atropine